Surface of NiTi wire is
1. Rougher than beta titanium wire
2. Rougher than stainless steel wire
3. Both of the above
4. None of the above

Correct answer: 3. Both of the above